Consider the following behavioural conditions in a child of school age - Fidgets with hands or squirms in seat Easily distracted by extraneous stimuli Often has difficulty awaiting turn Does not seem to listen when spoken to directly Which of the above diagnostic criteria are suggestive on inattention (attention deficit) in a child ?
1. 1 and 2 only
2. 1 and 3 only
3. 2 and 4 only
4. 1, 2, 3 and 4

Correct answer: 3. 2 and 4 only

Explanation: Ans. is 'c' i.e., 2 and 4 only